Which of the following is true about treatment of CLL?
1. Should be offered to all patients
2. Can be withheld in asymptomatic patients
3. Is curative
4. Combination chemotherapy should be given in patients above 50 years of age

Correct answer: 2. Can be withheld in asymptomatic patients

Explanation: Ans. b. Can be withheld in asymptomatic patients (Ref: Devita 9/e p1977-1984: Harrison 19/e p701, 18/e p927-928)Chronic Lymphocytic Leukemia:Treatment is not curativeTreatment not required in asymptomatic patientsTreatment is given to normalize the cell countIn patients less than 50 years, multiple drug therapy is preferredTreatment and Response Criteria in CLLAn unusual feature of CLL compared to other leukemias is that making the diagnosis is not necessarily an indication to initiate treatment. This is true for several reasons.CLL is a disease of the older populationMay be diagnosed in an asymptomatic patientProlonged courseNot curable with current treatment approachesSurvival advantage was not demonstrated with early intervention clinical trials.Allogeneic bone marrow transplantation has not been a viable option in CLL in the past because of the prohibitive toxicity of this approach in a population of older patients.Multiple drug therapy (Fludarabine and Chlorambucil) is preferred in elderly patients.Indications to initiate treatment for CLLConstitutional symptoms attributable to CLL:weight loss (greater than 10% of baseline weight within the preceding 6 months)extreme fatigue, Eastern Cooperative Oncology Group performance status of 2 or greaterfever (temperature greater than 38??C or 100.5??F for at least 2 weeks)night sweats without evidence of infection:Evidence of progressive bone marrow failure characterized by the development or worsening of anemia or thrombocytopenia, or bothAIHA or autoimmune thrombocytopenia, or both, poorly responsive to corticosteroid therapy:Massive (greater than 6 cm below the left costal margin) or progressive splenomegaly:Massive (greater than 10 cm in longest diameter) or progressive lymphadenopathyProgressive lymphocytosis defined as an increase in the absolute lymphocyte count by greater than 50% over a 2-month period, or a doubling time predicted to be less than 6 months.LeukemiaTreatmentAMLCytarabine + Anthracycline +/- EtoposideCMLImatinib mesylate (DOC), Hydroxyurea, Interferon-yALLInduction: Vincristine, prednisone. Daunorubicin, asparaginase, intrathecal Methotrexate Consolidation: Cyclophosphamide, aspraginase Maintenance: 6-mercaptopurine, MethotrexateCLLFludarabine and Chlorambucil